The conversion of short-term memory to long-term memory occurs in
1. Prefrontal cortex
2. Neocortex
3. Hippocampus
4. Amygdala

Correct answer: 3. Hippocampus

Explanation: Hippocampus is the primary structure within the temporal lobe involved in conversion of short-term memory to longterm memory. Hippocampal cognitive map is inappropriately reactivated during a deja vu experience. Hippocampus doesnot store memory but only converts short-term to long-term memory. Hence, hippocampal lesion cause only anterograde amnesia. Ref: Ganong's Review of Medical Physiology 25th edition Pgno: 285-288